Tumbling motility is shown by ?
1. Proteus vulgaris
2. Proteus mirabilis
3. Vibrio
4. Listeria

Correct answer: 4. Listeria

Explanation: Ans. is 'd' i.e., Listeria